Most common site of splenic implant in abdomen -
1. Stomach
2. Tail of pancreas
3. Peritoneal cavity
4. Suprarenal gland

Correct answer: 3. Peritoneal cavity

Explanation: Answer- C. Peritoneal cavityHeteopic splenic implant (splenosis) may occur in the peritoneal cavity, after splenic trauma or splenectomy.Splenosis is autotransplantation of splenic tissue after disruption of splenic capsule by trauma or surgery.Most common areas of implantalion are peritoneum, omentum and mesentry.